The tumor suppressor gene p 53 induces cell cycle arrest at -
1. G2- M phase
2. S G2phase
3. G1 phase
4. Go phase

Correct answer: 3. G1 phase

Explanation: Harshmohan textbook of pathology 7th edition. In blocking mitotic activity p53 inhibits the cyclins and CDKs and prevent the cell to enter G1 phase transientally. .